Most common parotid tumor ?
1. Pleomorphic adenoma
2. Adenocystic carcinoma
3. Epidermoid tumor
4. Adenocarcinoma

Correct answer: 1. Pleomorphic adenoma

Explanation: Ans. is 'a' i.e., Pleomorphic